All of the following are associated with Autonomic Neuropathies, Except
1. Diabetes
2. Amyloid
3. Hyperthyroidism
4. Botulinism

Correct answer: 3. Hyperthyroidism

Explanation: Answer is C (Hyperthyroidism): Hyperthyroidism is not associated with an autonomic neuropathy. Thyroid Hormones interact with the sympathetic branch of the autonomic nervous system and stimulate /simulate increased activity of sympathetic nervous system. Hyperthyroidism however is not associated with an autonomic neuropathy. Autonomic Neuropathies Acute / Subacute Autonomic Neuropathies Chronic Peripheral Autonomic Neuropathies Subacute autoimmune autonomic ganglionopathy (AAG) I Distal small fiber neuropathy Subacute paraneoplastic autonomic neuropathy 2. Combined sympathetic and parasympathetic failure Guillain-Barre syndrome a) Atnyloid Botulism b) Diabetic autonomic neuropathy Porphyria c) Autoimmune autonomic ganglionopathy Drug induced autonomic neuropathies-stimulants, drug withdrawal, vasoconstrictor, vasodilators, beta-receptor antagonists, beta-agonists d) e) (Paraneoplastic and idiopathic) Sensory neuronopathy with autonomic failure Familial dysautonomia (Riley-Day syndrome) Toxic autonomic neuropathies I) Diabetic, uremic, or nutritional deficiency Subacute cholinergic neuropathy g) Dysautonomia of old age